Cephalic index determines
1. Age
2. Sex
3. Race
4. Socio -economic status

Correct answer: 3. Race

Explanation: (Race) (2.26-P)Cranial or Cephalic Index - determining the race* of an individualsCI=Maximum Transverse breadthMaximum A.P. lengthx 100 FeaturesBlack (Negro)European or CaucacoidMongolsCephalic Index (Cl)70- 74.975- 79.980 and aboveType of skullDolicho- cephalic or Long headedMesati-cephalic or Medium headedBrachy-cephalic or Round headedExamplesAryans and AboriginsRajputs, Brahmins, & Kayasthas of BengalAmericans, Koreans, Japanes, Chinese, South east asians